Supracondylar fracture of the femur commonly injures which structure:
1. Sciatic nerve
2. Popliteal nerve
3. Popliteal vessel
4. Femoral vessel

Correct answer: 3. Popliteal vessel

Explanation: Ans. C: Popliteal Vessel Femoral vessel is commonly injured in fracture of the lower third of femur. Sciatic nerve is affected in posterior dislocationof the hip.